Opening of jaw is done by
1. Temporalis
2. Lateral pterygoid
3. Med pterygoid
4. Masseter

Correct answer: 2. Lateral pterygoid

Explanation: Lateral pterygoid is short, conical, and has upper and lower heads. The lateral pterygoid: - depress mandible to open mouth, with suprahyoid muscles. - protrudes mandible - right lateral pterygoid turns the chin to left side.